True about baroreceptors:
1. Inhibits nucleus tractus solitarius
2. Can regulate mean arterial pressure less than 50 mmHg
3. Are mechanoreceptors
4. Not sensitive to pulse pressure

Correct answer: 3. Are mechanoreceptors

Explanation: The baroreceptors are stretch receptors (i.e. ) -stimulated by distension; they discharge at an increased rate when the pressure in the carotid sinus and aortic arch rises. Woking range: The threshold for eliciting activity in the carotid sinus nerve is approximately 50 mm Hg; maximal activity occurs at approximately 200 mm Hg of mean arterial pressure Baroreceptors are more sensitive to pulsatile pressure than to constant pressure. A decline in pulse pressure without any change in mean pressure decreases the rate of baroreceptor discharge Discharges (vertical lines) in a single afferent nerve fiber from the carotid sinus at various levels of mean arterial pressures, plotted against changes in aortic pressure with time. Baroreceptors are very sensitive to changes in pulse pressure as shown by the record of phasic aortic pressure. Baroreceptor stimulates NTS, CVC and CVLM (Caudal ventral lateral medulla) RVLM (rostro ventral lateral medulla) is inhibited by CVLM Inotropic effect: force of contraction Chronotropic effect: heart ratenee Dromotropic effect: Conduction Bathmotropic effect: excitability